Spinal shock is characterized by all except-
1. Spastic paralysis
2. Flaccid paralysis
3. Areflexia
4. Sensory loss

Correct answer: 1. Spastic paralysis